Acetyl Co-A acts as a substrate for all the enzymes except a) HMG-Co A synthetaseb) Malic enzymec)  Malonyl CoA synthetased)  Fatty acid synthetase
1. ac
2. bc
3. abc
4. d

Correct answer: 2. bc